A patient comes to emergency opd with feeling of impending doom, intense anxeity and palpitations. All of the following investigations should be done in emergency except?
1. T3, T4, TSH
2. Glucose levels
3. Hemoglobin
4. ECG

Correct answer: 3. Hemoglobin

Explanation: The symptoms of impending doom and palpitations are suggestive of a panic attack and it is important to rule out hyperthyroidism, hypoglycemia and myocardial infarction. Hence T3, T4, TSH, Glucose levels and ECG has to be done.